Which of the following is true about thermal and electrical pulp tests after trauma?
1. Sensitivity tests evaluate the nerve and circulatory condition of the tooth
2. False positive tests are more likely than false negative tests
3. It may take up to nine months for normal blood flow to return.
4. It may take a few hours for normal blood flow to return

Correct answer: 3. It may take up to nine months for normal blood flow to return.